Referral Service Complex of health care delivery is based on the recommendation of
1. Bhore committee
2. Shrivastav committee
3. Katar Singh committee
4. Mudhaliar committee

Correct answer: 2. Shrivastav committee

Explanation: Shrivastav committee, 1955 recommended:a)Creation of bands of para-professional and semi-professional health workers from within the community itselfb)Establishment of - Multipurpose health workers and health assistantsc)Development of a 'Referral Service Complex' by establishing proper linkages between the PHC and higher level referral and service centres, viz taluka/tehsil, district, regional and medical college hospitalsd)Establishment of medical and health education commission for planning and implementing the reforms needed in health and medical education on lines of University grants commission.Park 23e pg: 865